Halo test is used to diagnose:
1. CSF rhinorrhoea
2. Sinusitis
3. Buerger's disease
4. None of the above

Correct answer: 1. CSF rhinorrhoea

Explanation: Copious clear drainage from the nose or ear makes the diagnosis of CSF leakage obvious. Often, however, the drainage may be discolored with blood or small in volume if some drains into the throat. The halo test can help differentiate. Allow a drop of the fluid to fall on an absorbent surface such as a facial tissue. If blood is mixed with CSF, the drop will form a double ring, with a darker center spot containing blood components surrounded by a light halo of CSF. If this test is indeterminate, the fluid can be sent for beta-transferrin testing, which will only be positive if CSF is present. Ref: Schwartz's principle of surgery 9th edition, chapter 42.